Which of the following is the drug of choice in the treatment of corneal ulcers caused by filamentous fungi?
1. Nystatin
2. Natamycin
3. Fluconazole
4. Itraconazole

Correct answer: 2. Natamycin

Explanation: Fusarium and Aspergillus are the most common filamentous organisms causing fungal keratitis. The drug of choice for filamentous infection is natamycin. Ref: Comprehensive Pphthalmology By A K Khurana, 4th Edition, Pages 100-1; The Wills Eye Hospital Atlas of Clinical Ophthalmology By William Tasman, 2nd Edition, Page 25.